In upper motor neuron lesion following is not seen:
1. Hypertonic muscles
2. Exaggerated superficial reflexes
3. Exaggerated deep reflexes
4. Positive Babinksy sign

Correct answer: 2. Exaggerated superficial reflexes